In langerhans cell hystiocytosis,the characteristic abnormality seen on microscopy is:
1. Birbecks granules
2. Foamy macrophages
3. Giant cells
4. Plasma cells

Correct answer: 1. Birbecks granules

Explanation: Langerhans cell histiocytosis is characterised by the presence of Birbeck granules in the cytoplasm.(ref Robbins 9th/622)